Erythroblastosis-foetalis is a example of which type of hypersensitivity reaction:
1. Type I
2. Type II
3. Type III
4. Type IV

Correct answer: 2. Type II

Explanation: (Type II) (161 -AN7th) (201-CP)Type II reaction - The antibody is directed against an epitope that can be microbial product passiely adsorbed on to a cell or a drug or a self molecule. Both IgG and IgM antibodies are produced in type II reaction. The antibody attaches to the antigen via Fab region of Ab. As a result, Type II reaction may be complement mediated lysis of cells as occurs in Autoimmune hemolytic anemia, ABO transfusion reaction or Rh haemolytic disease.Examples1. Isoimmune reaction - such as ABO transfusion reactions Eiythroblastosis foetalis2. Autoimmune reaction - Autoimmune haemolytic anemia, agranulocytosis or thrombocytopenia.